Drug has 40% absorption and hepatic extraction ratio of 0.6.what is bioavailabilit of the drug
1. 16%
2. 20%
3. 24%
4. 28%

Correct answer: 1. 16%

Explanation: (Ref Goodman and Gilman 12th/20) If we administer 100 molecules of the drug. Amount absorbed = 40 molecules (40% absorption) Amount removed by liver - 40 x 0.6 (Hepatic extraction ratio) = 24 molecules Drug available to produce action = 40-24 = 16 molecules So, Bioavailability = 16 percent